NPHS 1 gene codes for
1. Podocin
2. Nephrin
3. α - actinin 4
4. α - actinin 3

Correct answer: 2. Nephrin

Explanation: NPHS - 1 codes for Nephrin
NPHS - 2 codes for Podocin.